“Driven snow appearance ” is seen in:
1. Ewing’s sarcoma
2. Garre’s osteomyelitis
3. Caffey’s disease
4. Pindborg tumor

Correct answer: 4. Pindborg tumor

Explanation: Radiographic Features of Pindborg tumour:
The lesion may appear as either a diffuse or a well-circumscribed unilocular radiolucent area, while in other cases there may appear to be a combined pattern of radiolucency and radiopacity with many small, irregular bony trabeculae traversing the radiolucent area in many directions, producing a multilocular or honeycomb pattern. Scattered flecks of calcification throughout the radiolucency have given rise to the descriptive term of a ‘driven snow’ appearance. In some instances, the lesion is totally radiolucent and is in association with an impacted tooth, thus leading to a mistaken clinical diagnosis of dentigerous cyst.
Ref: Shafer's textbook of oral pathology 7th edition page 284